Staging of ovarian tumor involving bladder
1. Stage IIB
2. Stage IIIA
3. Stage IIIB
4. Stage IVA

Correct answer: 1. Stage IIB

Explanation: -Stage II ovarian cancer: tumor involves one or both ovaries or fallopian tubes with pelvic extension or primary peritoneal cancer. IIA: ovarian tumor involving uterus or fallopian tubes IIB: ovarian tumor involving pelvic intraperitoneal organs ( bladder, rectum or pelvic side walls) Reference : textbook of gynaecology Sheila balakrishnan, 2nd edition, pg no:277